Which of the following is not an absolute contraindication for corneal transplantation?
1. TB meningitis
2. Rabies
3. Death due to unknown cause
4. SSPE

Correct answer: 1. TB meningitis

Explanation: Ans. a. TB meningitis